Dukes classification is used for:
1. Pancreas carcinoma
2. Gastric carcinoma
3. Urinary bladder carcinoma
4. Colo-rectal carcinoma

Correct answer: 4. Colo-rectal carcinoma

Explanation: (Colo-rectal carcinoma) (1232-Baily & Love) (1180-B &L 25th)Dukes staging A. The growth is limited to the rectal wall (15%)Prognosis excellentB. The growth is extended to the extrarectal tissues, but no metastasis to the regional lymph nodes (35%)Prognosis - reasonableC. There are secondary deposits in the regional lymph nodes (50%) - in which local pararectal lymph node are involved. - in which the nodes accompanying the supplying blood vesselsPrognosis poorD. Presence wide spread metastasis usually hepatic.Prognosis worst